Inferior mesenteric vein drains into
1. Splenic vein
2. Renal vein
3. Inferior vena cava
4. Superior mesenteric vein

Correct answer: 1. Splenic vein

Explanation: Inferior mesenteric vein usually terminates when reaching the splenic vein, which goes on to form the portal vein with the superior mesenteric vein (SMV).